A 20-year-old man presents with dysuria, urgency, and urethral discharge. Physical examination shows suppurative urethritis, with redness and swelling at the urethral meatus. Which of the following is the most likely etiology of urethritis in this patient?
1. Borrelia recurrentis
2. Chlamydia trachomatis
3. Haemophilus ducreyi
4. Neisseria gonorrhoeae

Correct answer: 4. Neisseria gonorrhoeae

Explanation: Urethritis is the most common manifestation of sexually transmitted diseases in men, in whom it typically presents with urethral discharge. Both gonococcal and nongonococcal urethritis have an acute onset and are related to recent sexual intercourse. The infection manifests with urethral discharge, typically purulent and greenish yellow. Symptoms include pain or tingling at the meatus of the urethra and pain on micturition (dysuria). Redness and swelling of the urethral meatus are usually seen in both sexes. In gonococcal urethritis, the urethral discharge contains N. gonorrhoeae, which can be identified microscopically in smears of the urethral exudates. The other choices do not present with urethral suppurative discharge.Diagnosis: Gonorrhea, urethritis